All of the following can be achieved by the use of siegel's speculum during examination of the ear, EXCEPT:
1. Magnification
2. Removal of foreign body from the ear
3. As applicator for the powdered antibiotic of ear
4. Assessment of movement of the tympanic membrane

Correct answer: 2. Removal of foreign body from the ear

Explanation: Siegel's speculum has an eyepiece, which is a convex lens with a magnification of 2.5 times. The eyepiece is connected to an aural speculum. It is not used to remove foreign body from the ear. Indications: It is used to provide a magnified view of ear drum, to test mobility of ear drum by varying the pressure of external canal, to suck out middle ear secretions in patients with chronic serous ottitis media and to instill ear drops into the middle ear. Ref: Clinical Examination Techniques in Otology 2012 By Balasubramanian, Section 5; Essentials of Otolaryngology By Frank E. Lucente, 5th Edition, Page 121